Electroplate silver die material is best compatible with all EXCEPT
1. Addition silicones
2. Polysulfides
3. Polyethers
4. Condensation silicones

Correct answer: 3. Polyethers